Di collar is seen in:
1. Fire arm entry wound
2. Fire arm exit wound
3. Both of the above
4. None of the above

Correct answer: 1. Fire arm entry wound

Explanation: Fire arm entry wound